True about non-depolarizing muscle relaxants – a) Competitive inhibitor of acetylcholineb) Metabolised by pseudocholinesterasec) Mg2+ predisposes the blockd) Ca2+ antagonizes the blocke) Hypothermia prolongs the block
1. bce
2. acde
3. abcd
4. abde

Correct answer: 2. acde

Explanation: Non-depolarizing blockers act as competitive antagonists of Ach on Nm receptor at myoneural junction.
Magnesium and hypothermia potentiate the block whereas calcium antagonizes the block.